A 30 year old women pretests a history of amenorrhoea and impaired vision of six month' duration. Physical examination shows everything except for pale optic discs and diminished visual acuity. The most likely diagnosis is -
1. Pituitary adenoma
2. Craniopharyngioma
3. Hypothalamic glioma
4. Benign intracranial hypertension

Correct answer: 1. Pituitary adenoma

Explanation: pituitary adenoma inhibits GnRH causes imbalance in FSH and LH causing amenorrhea and increased ICT causes compression of optic disc & visual field defects ( harrison 17 2205 )